A 23-year-old individual who believes in megavitamins therapy develops a severe headache, fundoscopy reveals papilloedema. The likely cause for this problem is
1. Vitamin B12 intoxication
2. Vitamin A intoxication
3. Vitamin E intoxication
4. Vitamin K intoxication

Correct answer: 2. Vitamin A intoxication